Vitamin, which acts as a hormone is :
1. A
2. C
3. D
4. E

Correct answer: 3. D